Seborrhoeic dermatitis is frequently seen in -
1. Lipid storage disorders
2. Psoriasis vulgaris
3. Hypertension
4. Parkinson's disease

Correct answer: 4. Parkinson's disease

Explanation: parkinsons disease patients tend to have seborrhoea and seborrheic dermatitis. increase sebum level will cause growth of malassezia and aggravate seborrheic dermatitis. elevated alpha melanocyte stimulating hormone will produce more sebum in these patients. IADVL textbook of dermatology, page 496.